Warthin-Finkeldey giant cells are seen in -
1. Measles
2. Rubella
3. Influenza
4. Rickettsial pox

Correct answer: 1. Measles

Explanation: Ans. is 'a' i.e., Measles o Warthin-Finkeldey cells are multinucleated giant cells. o These cells are pathognomic of measles and are found in lymphoid organs, lung and sputum.